`Lardaceous' spleen is seen in-
1. CML
2. Hodglcin's lymphoma
3. Amyloidosis
4. Malaria

Correct answer: 3. Amyloidosis

Explanation: Robbins basic pathology 9th edition page no 157,Heading =Morphology Amyloidosis of the spleen often causes moderate or even marked enlargment. Amyloidosis may principally involve the splenic sinuses, eventually extending to the splenic pulp, with formarion of large, sheetloke deposits(lardaceous spleen).